Use of tamoxifen in carcinoma of breast patients does not lead to the following side effects ?
1. Thromboembolic events
2. Endometrial Carcinoma
3. Cataract
4. Cancer in opposite breast

Correct answer: 4. Cancer in opposite breast

Explanation: Ans is 'd' i.e. Cancer in opposite breast Adverse effects of Tamoxifen: ? (a) Hot flushes, nausea vomiting (most common side effects)* (b) Menstrual irregularities, vaginal bleeding, discharge, pruritis vulvae & dermatitis (c) Endometrial cancer (d) Thromboembolism (e) Cataracts (f) Retinal deposits & decreased visual acuity Benefits of Tamoxifen: ? (a) Estrogen receptor positive breast cancer: used in both pre and postmenopausal women. (b) it appears to increase bone density (slows the development of osteoporosis in postmenopausal women) favourably affect lipid and lipoprotein profiles.